CD4 is associated with HLA?
1. HLA 1
2. HLA 2
3. HLA 3
4. All of them

Correct answer: 2. HLA 2

Explanation: Ans. is 'b' i.e., HLA 2 * MHC-II recognizes exogenous antigen (extracellular microbes, soluble proteins) and present it to CD4 helper T cells (MHC-II restricted).* MHC class I present antigen to cytotoxic CD-8 T cells (MHC-I restricted).